Which is the wrong statement regarding hepatitis viruses?
1. Hepatitis A & E are enveloped viruses
2. Hepatitis D are circular RNA virus
3. Hepatitis C & E contains linear RNA virus
4. No vaccine is available for hepatitis C virus

Correct answer: 1. Hepatitis A & E are enveloped viruses

Explanation: Hepatitis A & E are non enveloped virus Hepatitis B is the only DNA virus Hepatitis B & D have a circular genome ref - davidsons medicine 23e pg872-875